Trauma from occlusion does not effect
1. Alveolar bone and enamel
2. Cementum and enamel
3. Epithelial attachment and gingiva
4. Periodontal ligament and Cementum

Correct answer: 3. Epithelial attachment and gingiva